Protein synthesis occurs in -
1. Ribosome
2. Golgi apparatus
3. Lysosomes
4. Endosomes

Correct answer: 1. Ribosome

Explanation: Ans. is 'a' i.e., Ribosome OrganelleFunctiono NucleolusSite of synthesis of r-RNAo RibosomesSite of protein synthesis, translation of mRNAo RER, Granular ERSite of protein synthesis(e.g. hormones, proteins found inenzyme)o SER/Agrannlar ERSite of steroid synthesis / detoxification / FA elongationo Golgi BodyProcessing / packaging, intracellular sorting of proteins, formation of lysosomeso LysosomesContain digestive i lytic enzymes and hydrolases (suicidal bags of cell)o PeroxisomesContain oxidases